A noncompetitive inhibitor of an enzyme does which of the following?
1. Decreased Vmax
2. Increased Vmax
3. Decreased Km and decreases Vmax
4. Increases Km and increases Vmax

Correct answer: 1. Decreased Vmax

Explanation: Ans. A. Decreased VmaxIn Contrast to competitive inhibitors, noncompetitive inhibitors are not structural analogues of the substrate. Consequently, noncompetitive inhibitors bind to enzymes in locations remote from the active site. For this reason, the degree of inhibition is based solely upon the concentration of inhibitor and increasing the substrate concentrations do not compete with or change the inhibition. Therefore, unlike the increase in Km seen with competitive inhibition, in noncompetitive inhibition V max decreases while Km usually remains the same. While competitive inhibitors can be overcome at sufficiently high concentration of substrate, noncompetitive inhibition is irreversible.